Vidian neurectomy is done in?
1. Allergic rhinitis
2. Vasomotor rhinitis
3. Atrophic rhinitis
4. Rhinitis medicamentosa

Correct answer: 2. Vasomotor rhinitis

Explanation: Ans. (b) Vasomotor rhinitisRef: Dhingra's 4th ed p-160